A continuous murmur is heard in all of the following conditions except -
1. Ventricular septal defect with aortic regurgitation
2. Patent ductus arteriosus
3. Coronary arteriovenous fistula
4. Venous hum

Correct answer: 1. Ventricular septal defect with aortic regurgitation